Which of the following congenital infections is associated with minimal teratogenic risk to the fetus:
1. HIV
2. Rubella
3. Varicella
4. CMV

Correct answer: 1. HIV

Explanation: HIV infection in pregnant women has no proven teratogenic effects on the fetus. While the other three are teratogenic infections. Ref: Dutta textbook of Obstetrics 6th edition, page 299